A 25-year-old hypertensive man with a history of recurrent calcium-containing renal calculi presents to the emergency department with excruciating flank pain and blood in the urine, This patient is likely to have which one of the following underlying disorders?
1. Chronic proteus infection
2. Factor VIII deficiency
3. Hyperaldosteronism
4. Hyperparathyroid ism

Correct answer: 4. Hyperparathyroid ism

Explanation: Hyperparathyroidism is an increase in parathyroid hormone (PTH) levels in the blood.This occurs from a disorder either within the parathyroid glands (primary hyperparathyroidism) or outside the parathyroid glands (secondary hyperparathyroidism).Most people with primary disease have no symptoms at the time of diagnosis.When symptoms occur, they are due to elevated blood calcium.With long-standing elevation, the most common symptom is kidney stones. Other symptoms may include bone pain, weakness, depression, confusion, and increased urination.Both primary and secondary may result in osteoporosis (weakening of the bones) Ref Davidson 23rd edition pg 631